All of the following are indications for use of corticosteroids in SLE except;
1. Neuropsychiatric lupus
2. Pericarditis
3. Endocarditis
4. Nephritic syndrome

Correct answer: 3. Endocarditis

Explanation: It has not been proven that glucocorticoid or other immunosuppressive therapies lead to improvement of lupus myocarditis or endocarditis If diffuse proliferative glomerulonephritis (DPGN) is inadequately treated, virtually all patients develop ESRD within 2 years of diagnosis. Therefore, aggressive immunosuppression is indicated (usually systemic glucocorticoids plus another immunosuppressive drug), unless damage is irreversible. Neuropsychiatric systemic lupus erythematosus (NPSLE) It is a generic definition referring to a series of neurological and psychiatric symptoms directly related to systemic lupus erythematosus (SLE). In NPSLE patients, although corticosteroids are commonly used when NPSLE is thought to reflect an inflammatory process, this practice can only be substantiated by clinical experience.NP disturbances have been related to the use of glucocorticoids. For example, approximately 10% of patients treated with 1mg/kg/day or more of prednisone will have a glucocorticoid-induced psychiatric disease. Depression, hypomania, and overt psychosis are known glucocorticoid-induced psychiatric manifestations. Symptoms usually occur within 8weeks of initiation or augmentation of glucocorticoids and resolve completely in most cases through dose reduction, which may help in the differentiation with NPSLE The pericardial friction rub of pericarditis resolves with steroids